Resident Doctor not immunized to Hepatitis B infections gets an accidental needle stick from a HBsAg-positive patients needle. Next step is
1. Administer hepatitis B immunoglobulin
2. Complete course of hepatitis B vaccine
3. Both
4. Observation

Correct answer: 3. Both

Explanation: (C) Both > For those experiencing a direct percutaneous inoculation or transmucosal exposure to HBsAg-positive blood or body fluids (E g., Accidental needle stick, other mucosal penetration, or ingestion), a single intramuscular dose of HBIG, 0.06 mL/kg, administered as soon after exposure as possible, is followed by a complete course of hepatitis B vaccine to be given within the first week